As of 2007, neonatal tetanus elimination has been validated in all of the following states, EXCEPT:
1. West Bengal
2. Bihar
3. Goa
4. Kerala

Correct answer: 2. Bihar

Explanation: By end of June 2007, India had validated neonatal tetanus elimination from 13 staes/ union territories including Goa, West Bengal, Kerala, Karnataka, Punjab, Sikkim etc. Ref: Park 21st edition, page 284.